When designing a RPD for Kennedy Class-II arch, the clasp configuration usually employed is
1. Unilateral
2. Tripod
3. Bilateral
4. Quadrilateral

Correct answer: 2. Tripod